Strawberry appearance of nasal mucosa is seen in:
1. Wegener's granulomatosis
2. Sarcoidosis
3. Kawasaki disease
4. Rhinosporidiosis

Correct answer: 2. Sarcoidosis

Explanation: (b) Sarcoidosis(Ref. Scott Brown, 8th ed., Vol 1; 1213)Strawberry appearance of nasal mucosa is seen in sarcoidosis whereas strawberry mass is seen in the nasal cavity in rhinosporidiosis.